Adverse effect of clozapine:
1. Hypertension
2. Sialorrhea
3. Extrapyramidal S/E
4. Neuroleptic malignant syndrome

Correct answer: 2. Sialorrhea

Explanation: B i.e. Sialorrhea